Which of the following drug is NOT a Gp IIb/IIIa antagonist?
1. Tirofiban
2. Abciximab
3. Eptifibatide
4. Prasugrel

Correct answer: 4. Prasugrel

Explanation: Ans. (D) Prasugrel(Ref: Katzung 13/e p596, KDT 8/e p677)Prasugrel is an antagonist of P2 Y12 receptors of ADP like clopidogrel.GpIIb/IIIa antagonists includeAbciximabTirofibanEptifibatide